4.True statement about Rhinosporidiosis is:
1. Most common organism is klebsiella rhinoscleromatis
2. Seen only in immunocompromised patients
3. Presents as a nasal polyp
4. Can be diagnosed by isolation of organism

Correct answer: 3. Presents as a nasal polyp

Explanation: The disease is acquired through contaminated water of ponds also frequented by animals. In the nose, the disease presents as a leafy, polypoidal mass, pink to purple in colour and attached to nasal septum or lateral wall. Sometimes,it extends into the nasopharynx and may hang behind the soft palate. The mass is very vascular and bleeds easily on touch. Its surface is studded with white dots representing the sporangia of fungus Ref: Dhingra 7e pg 178.